Congenital coxa vara is treated by:
1. Fixation by SP Nail
2. Osteotomy
3. Bone grafting
4. Traction

Correct answer: 2. Osteotomy

Explanation: CONGENITAL COXA VARA Clinical Presentation Painless limp in a child who has just started walking Shoening-Limitation of abduction and internal rotation Radiological Reduced neck shaft angle (varus) Vertical epiphysis plate Separate triangle of bone in infero-medial part of metaphysis called as Fairbank's triangle Treatment depend upon HE angle if:- Angle 40o -60o = Observation >60o or if shortening is progressive = subtrochanteric osteotomy. Hilgenreiner's epiphyseal angle: angle between horizontal line joining center (triradiate cartilage) of each hip (Hilgenreiner's line) and line parallel to physis; the normal angle is about 30 degrees.